Cu 380A should be replaced once in
1. 4years
2. 6years
3. 8years
4. 10years

Correct answer: 4. 10years

Explanation: Change of IUDs Inert IUDs such as Lippes Loop may be left in place as long as required, if there are no side-effects. Copper devices cannot be used indefinitely because copper corrodes and mineral deposits build up on the copper affecting the release of copper ions. They have to be replaced periodically. The same applies to the hormone-releasing devices. This is an inherent disadvantage of medicated devices when they are used in large national family planning programmes. The Cu-T -380A is approved for use for 10 years. However, the Cu-T -380A has been demonstrated to maintain its efficacy over at least 12 years of use. The Cu-T -200 is approved for 4 years and the Nova T for 5 years. The progesterone-releasing IUD must be replaced every year because the reservoir of progesterone is depleted in 12-18 months. The levonorgestrel IUD can be used for at least 7 years, and probably 10 years. The progesterone IUD has a slightly higher failure rate, but the levonorgestrel device that releases 15-20 ug levonorgestrel per day is as effective as the new copper IUDs Ref : Park 25th edition Pgno : 531-548